Acute phase reactants are all except -
1. C-reactive protein
2. Haptaglobulin
3. Endothelin
4. Fibrinogen

Correct answer: 3. Endothelin

Explanation: Ans. is 'c' i.e., Endothelin Acute phase protejns (reactants)o Acute phase reactants are a class of proteins whose plasma concentration increases or decreases in response to inflammation.o This response is called the acute phase reaction (acute phase response)o It should be noted that acute phase proteins not only increase in response to inflammation ; some decrease also1. Proteins which increase in response to inflammation - Positive acute phase proteins2. Proteins which decrease in response to inflammation - Negative acute phase proteins1. Positive acute phase proteins* C-reactive protein (Pj-globulin)# a-2 microglobulin* a-1 antitrypsin# Mannose binding protein* Fibrinogen, prothrombin, vWF# D-dimer protein* Ferritin# Haptoglobulin* Serum amyloid A# Ceruloplasmin* Plasminogen, Factor VIII# Complement factors 2. Negative acute phase proteins* Albumin & Prealbumin# Transcortin* Transferrin# Retinol binding protein* Transthyretin